Example of type-I respiratory failure is:
1. Cardiogenic shock
2. Atelectasis
3. Myasthenia gravis
4. ARDS

Correct answer: 4. ARDS

Explanation: Ans. D: ARDS